Streptococcus is called as flesh eating bacteria due to its?
1. Streptolysin A
2. Streptolysin 0
3. Pyrogenic exotoxin
4. Hyaluronidase

Correct answer: 3. Pyrogenic exotoxin

Explanation: Ans. is 'c' i.e., Pyrogenic exotoxin Streptococcal necrotising fascitis is caused by streptococcus pyogenes M types 1 and 3 strains forming pyrogenic exotoxin A.These strains have earned notoriety under the name "Flesh eating bacteria" and cause extensive necrosis of subcutaneous and muscular tissue and adjucent fascia which may be associated with severe systemic illness.